Drug of choice for syphilis -
1. Penicillin
2. Rifampicin
3. Tetracycline
4. Erythromycin

Correct answer: 1. Penicillin

Explanation: Ans. is 'a' i.e.. Penicillin InfectionChemoprophylaxis (DOC)InfectionChemoprophylaxis (DOC)o Cholera -TetracyclineMeningococci -Rifampicin (sulfadiazineo Plague -Tetracycline if strain is sensitive)o P.carinii -CotrimoxazoleDiphtheria -Erythromycino Whooping cough -ErythromycinBacterial conjuctivits -Erythromycin ointmento Toxoplasmosis -CotrimoxazoleTB -INHo Influenza -AmantadineMAC -Clarithromycin.''Azithromycino Rickettsia -TetracyclinesMalaria -Chloroquineo Bird flu- OseltamivirSurgical prophylaxis -Cefazolino Gonorrhoes/syphilis-Procaine penicillin